Which of the following neoplasms is primary in the adrenal medulla:
1. Pheochromocytoma
2. Eosinophilic adenoma
3. Arrthenoblastoma
4. None of the above

Correct answer: 1. Pheochromocytoma